Hardest bone of the body is?
1. Head of humerus
2. Calcaneum
3. Tibial condyle
4. Osseus labyrinth

Correct answer: 4. Osseus labyrinth

Explanation: Ans. D Osseus labyrinthRef: Gray's Anatomy, 41st ed. pg. 644* Osseous labyrinth is considered as hardest bone of the body. It is embedded in petrous part of temporal bone, which is also known as "rock bone".* American edition of British encyclopedia states: "The labyrinth of the ear is formed of cochlea, 3 semicircular canals and a small cavity known as vestibulum into which cochlea and semicircular canal opens. These parts are formed of the hardest bone in body, almost equal in solidity to ivory and petrous portion of temporal bone.